The diagnostic triad of exophthalmos, diabetes insipidus and bone lesions is characteristic of:
1. Hand-Schuller Christian disease
2. Letterer-Sieve disease
3. Fibrous dysplasia
4. Osteoporosis

Correct answer: 1. Hand-Schuller Christian disease

Explanation: Ans. Hand-Schuller Christian disease